An oncologist is reviewing a CT scan of a 74-year-old man with newly diagnosed hepatocellular carcinoma. He locates the affected quadrate lobe of the liver that:
1. Lies between the IVC and ligamentum venosum
2. Receives blood from the right hepatic artery
3. Drains bile into the left hepatic duct
4. Is a medial superior segment

Correct answer: 3. Drains bile into the left hepatic duct

Explanation: QUADRATE LOBE: Quadrangular lobe, present behind 4b, not seen anteriorly. It lies between the gallbladder fossa and the ligamentum teres hepatis, a medial inferior segment, and is a part of the left lobe. The quadrate lobe of the liver drains bile into the left hepatic duct and receives blood from the left hepatic artery.